Dementia in a patient with chronic renal failure with chronic hemodialysis is due to?
1. Aluminium toxicity
2. Uremia
3. Cerebral Amyloid Angiopathy
4. A Beta-amyloid deposition

Correct answer: 1. Aluminium toxicity

Explanation: Patients undergoing long-term dialysis acquire dialysis dementia. Dialysis dementia -leading cause is A-Beta 2 amyloid deposition. But it is not given in choices. A-Beta amyloid deposition is seen with Alzheimer's disease and hence is ruled out. Aluminium toxicity either from aluminum in the dialysate or consumption of aluminium containing drugs is linked to the pathogenesis of dialysis dementia. Dialysis dementia is a unique neurologic complication of renal failure associated with chronic dialysis. While many questions remain about the pathophysiology of the disease, aluminum toxicity is probably the major factor in the pathogenesis of the dementia. Reducing dialysate aluminum levels and minimizing oral aluminum intake has markedly decreased the incidence of the disease. Deferoxamine, a chelating agent, is effective if it is given early; however, chronic use may lead to serious complications, although they are rare.